Which of the following amino acids is purely ketogenic?
1. Phenylalanine
2. Leucine
3. Proline
4. Tyrosine

Correct answer: 2. Leucine

Explanation: Purely ketogenic amino acid is LeucineRef: Textbook of biochemistry for medical students, seventh edition, page no: 27